Glomus tumor invading the vertical part of carotid canal. It is ?
1. Type B
2. Type CI
3. Type C2
4. Type C3

Correct answer: 3. Type C2

Explanation: Ans. is `c' i.e., Type C2